Which is NOT a third generation Cephalosporin ?
1. Ceftriaxone
2. Cefotaxime
3. Ceftizoxime
4. Cefuroxime

Correct answer: 4. Cefuroxime

Explanation: Ans. is 'd' i.e., Cefuroxime o Cefuroxime is 2nd generation cephalosporin.